"Pinch" purpura is diagnostic of -
1. Systemic primary amyloidosis
2. Secondary systemic amyloidosis
3. Idiopathic thrombocytopenic purpura
4. Drug induced purpura

Correct answer: 1. Systemic primary amyloidosis

Explanation: Pinch Purpura: A Cutaneous. Manifestation of Systemic. Amyloidosis Amyloid purpura is a condition marked by bleeding under the skin (purpura) in some individuals with amyloidosis. Its cause is unknown, but coagulation defects caused by amyloid are thought to contribute presentation: Amyloid purpura usually occurs above the nipple-line and is found in the webbing of the neck and in the face and eyelids Ref Harrison20th edition pg 1245